Hyperacusis is defined is -
1. Hearing of only loud sounds
2. Normal sounds heard as loud and painful
3. Completely deaf
4. Ability to hear in noisy surroundings

Correct answer: 2. Normal sounds heard as loud and painful